Drug locally used for tracheal stenosis
1. Mitomycin C
2. Doxorubicin
3. Bleomycin
4. Clindamycin

Correct answer: 1. Mitomycin C

Explanation: Mitomycin can be used for treatment given by iv route Esophagal carcinoma Breast cancer Given by local route Superficial bladder cancer Eye surgery Esophageal and tracheal stenosis Ref Molecular biology 2006,360